Field instrument used to measure birth weight:-
1. Salter's spring balance
2. Electronic weighing scale
3. Mass produced balance scale
4. Roberval balance

Correct answer: 1. Salter's spring balance

Explanation: - Field instrument to measure birth weight is Salter's Spring balance (kind of sling balance on which child is hung) - Average birth weight = 2.8kg - According to WHO, Low birth weight = < 2.5kg Very Low birth weight = < 1.5 Kg Extremely Low birth weight = < 1 Kg - Birth weight Doubles by 5 months Triples by 12 months Quadruples by 2yrs